Most important drug used in the treatment of coronary artery disease is
1. Aspirin
2. Digoxin
3. Streptokinase
4. Nifedipine

Correct answer: 1. Aspirin